Hyoid bone fracture does not occur in
1. Hanging
2. Strangulation
3. Throttling
4. Choking

Correct answer: 4. Choking

Explanation: Choking is a form of asphyxia caused by obstruction within the air-passages. There is no involvement of hyoid bone or its fracture since it is occuring within the airway. Ref: The synopsis of forensic medicine & Toxicology 28th edition pg: 189